True about exotoxins -
1. Lipopolysaccharide
2. Not antigenic
3. Can be toxoided
4. Heat stable

Correct answer: 3. Can be toxoided

Explanation: EXOTOXINS: Proteins heat labile actively secreted by cells diffuse into surrounding medium readily separable from cultures by physical means such as filtration action often enzymatic specific pharmacological effects for each exotoxinspecific tissue affinities active in very minutes dose highly antigenic action specifically neutralized by antibody Ref Ananthanarayan & paniker's Textbook of Microbiology 9th edition pg no 75